Most common cause of upper GI bleed
1. Gastric cancer
2. Oesophageal varices
3. Duodenal ulcers
4. Gastric ulcers

Correct answer: 3. Duodenal ulcers

Explanation: Answer- C. Duodenal ulcersCauses ofupper GI bleeding (in descending order)Peptic ulcer - Duodenal ulcer - gastric ulcerOesophageal varicesGastritis erosionsMallory-Weiss tearsUncommon causes - Gastric carcinoma, esophagitis, pancreatits.